Aromatase produces estrogen from -
1. Progesterone
2. Cortisol
3. Aldosterone
4. Androgen

Correct answer: 4. Androgen

Explanation: Ans. is 'd' i.e.. Androgen o Aromatase conversts androgens into estrogen in peripheral tissues.